Application of incubation period is all except-
1. To differentiate co-primary cases from secondary cases
2. To find out time for isolation
3. To find out time for quarantine
4. To prevent infection of the contacts of the infected person

Correct answer: 2. To find out time for isolation

Explanation: An infection becomes apparent only after a certain incubation period which is defined as the time interval between invasion by an epidemiological agent and the appearance of first sign or symptoms. During the incubation period, the infectious agent undergoes multiplication in the host. Incubation period is of fundamental importance in epidemiological study tracing the source of infection and contacts Period of surveillance Immunization Identifying point source or propagated epidemics Prognosis (Refer pgno:100 park 23rd edition)